Causative agent of molluscum contagiosum is a:
1. Bacteria
2. Virus
3. Prion
4. Fungus

Correct answer: 2. Virus

Explanation: Ans. B: Virus Molluscum contagiosum is a common childhood viral infection of squamous epithelia that generally appears on skin as waxy, dome-shaped papules. Lesions sometimes regress spontaneously in immunocompetent children. "Benign neglect" is the most appropriate therapeutic approach in most cases. Other accepted treatments are mechanical removal, topical vesicants (e.g., salicylic acid, cantharidin), electrocautery, and liquid nitrogen.